A 25-year-old woman presents with a 2-week history of febrile illness and chest pain. She has an erythematous, macular facial rash and tender joints, particularly in her left wrist and elbow. A CBC shows mild anemia and thrombocytopenia. Corticosteroids are prescribed for the patient. The patient is noted to have increased serum levels of ceruloplasmin, fibrinogen, a2-macroglobulin, serum amyloid A protein, and C-reactive protein. Together, these markers belong to which of the following families of proteins?
1. Acute phase proteins
2. Anaphylatoxins
3. Inhibitors of platelet activation
4. Protease inhibitors

Correct answer: 1. Acute phase proteins

Explanation: Acute phase proteins. These proteins are synthesized primarily by the liver and are released into the circulation in response to an acute inflammatory challenge. Changes in the plasma levels of acute phase proteins are mediated primarily by cytokines (IL-1, IL-6, and TNF-a). Increased plasma levels of some acute phase proteins are reflected in an accelerated erythrocyte sedimentation rate, which is an index used clinically to monitor the activity of many inflammatory diseases. None of the other choices describe the set of serum markers listed in this question.Diagnosis: Systemic lupus erythematosus